The recommended oral dose of vitamin A to be given in a 10 month child with deficiency on each of day 1,2 and 28 is –
1. 50,000 IU
2. 1,00,000 IU
3. 2,00,000 IU
4. 6,00,000 IU

Correct answer: 2. 1,00,000 IU